A female presents with symptoms and signs suggestive of meningitis. MRI reveals a ring enhancing lesion in the frontotemporal region while CSF grows Gram positive bacilli. Other findings are minimally abnormal. Which of the following organisms is the most likely etiological agent -
1. Listeria monocytogenes
2. Hemophilus influenza
3. Pneumococcus
4. Staphylococcal aureus

Correct answer: 1. Listeria monocytogenes